Crash in cocaine means
1. post cocaine use depression
2. post cocaine nasal ulcers
3. post cocaine MI
4. post cocaine SIDS

Correct answer: 1. post cocaine use depression

Explanation: Cocaine Cocaine is a stimulant which increases dopamine. It is available as a powder which is inhaled by nasal route called as SNOING. It can also be used as IV route * Cardiovascular adverse effects * MI * Arrhythmia * SIDS if mother exposed during pregnancy POST COCAINE DEPRESSION is alled CRASH * TREATMENT * dopamine agonists * Disulfiram Desipramine Ref.kaplon and sadock, synopsis of psychiatry, 11 th edition, pg no.672